All of the following are used for secondary prevention of MI except?
1. Aspirin
2. Statins
3. Beta-blockers
4. Warfarin

Correct answer: 4. Warfarin

Explanation: Aspirin and clopidogrel have been shown to reduce mortality due to MI. Statins regress atherosclerosis and b blockers which have an oxygen conserving action will prevent future episode of MI. Warfarin is not routinely used in post-MI patients.